NRHM (National Rural Health Mission) done in
1. 2002
2. 2005
3. 2006
4. 2011

Correct answer: 2. 2005